Commonest cause of acute pancreatitis is:
1. Alcohol
2. Gail stones
3. Viruses
4. Hypertrigyceridemia

Correct answer: 2. Gail stones

Explanation: (Gall stone): Ref: 1122-LB, 1896-H (1139-B & L 25th)ACUTE PANCREATITIS* Gallstone Continues to be the leading cause of acute pancreatitis in most series (30 - 60%) Alcohol is the second most common cause (15 - 30%). Hypertriglyceridemia (1.3 - 3.8%) ERCP (5 - 20%) Drug induced (2 - 5%)Clinical features - Pain is the cardinal symptoms* The patient usually a middle-aged person, presents with severe pain (illimitable agency) in the epigastrium of sudden onset radiating to the back.* The attack usually follows a heavy meal or a bout of alcohol drinking and may be associated with vomiting and hypotension* The abdomen may be rigid and distended with a hyper-resonant note.* There may be tenderness in the epigastrium and in left renal angle* The patient may have a tinge of jaundice* There may be discolouration of the skin of the loin (Grey-Turnor's sign). The skin around umbilicus may be discoloured (Cullen's sign)* A tender ill defined lump may be felt in the upper abdomenTowards the end of the second week of attack it is usually a pseudo cyst and towards the end of third or fourth week it is usually a pancreatic abscess.